Intermittent claudication is caused by
1. Venous occlusion
2. Arterial insufficiency
3. Neural compression
4. Muscular dystrophy

Correct answer: 2. Arterial insufficiency